All of the following statements about hyponatremia are true, except:
1. Pseudohyponatremia is associated with low plasma osmolality
2. Hyponatremia associated with hyperglycemia has high plasma osmolality
3. Hyponatremia associated with SIADH is normovolemic
4. NSAIDs increase the potency of vasopressin

Correct answer: 1. Pseudohyponatremia is associated with low plasma osmolality

Explanation: Pseudohyponatremia is associated with normal serum osmolarity. In this condition the aqueous fraction of plasma is decreased and the particulate fraction is increased. This can result from hyperlipidemia (TG>1500mg/dl), hypercholesterolemia or hyperprotenemia (as in multiple myeloma, waldenstroms macroglobulinemia, administration of intravenous immunoglobulin) Ref: Nephrology in 30 Days By Robert F. Reilly, Mark A. Perazella, page 38; Goldfrank's toxicologic emergencies By Lewis R. Goldfrank, Neal Flomenbaum, page 287; Goldfrank's toxicologic emergencies By Lewis R. Goldfrank, Neal Flomenbaum, page 288; Textbook Of Pharmacology By Seth 3rd edn, page29